Which of the following is true about varioliform gastritis
1. It is a type of acute gastritis
2. It is characterized by nodules, thickened folds and erosions
3. Diagnosis is difficult to make on endoscopy
4. It is a common form of gastritis

Correct answer: 2. It is characterized by nodules, thickened folds and erosions

Explanation: Answer- B. It is characterized by nodules, thickened folds and erosionsVarioliform gastritis is currently recognized as a special kind ofchronic gastritis characterized by nodules, thickened fugal folds and erosions.These features appear to be unusual and different from those seen in chronic gastritis.